Recent Hepatitis infection is best diagnosed by -
1. Hbs Ag
2. Ig G Anti Hbe abs
3. Anti HBs Ag abs
4. IgM anti HBc abs

Correct answer: 4. IgM anti HBc abs

Explanation: The simultaneous presence of IgM anti HBc indicates recent infection and the presence of IgG anti HBc remote infection. REF:ANANTHANARAYAN AND PANIKER'S TEXTBOOK OF MICROBIOLOGY 9TH EDITION PAGE NO-547